The site at which 1,25 hydroxylation of Vitamin-D takes place in the kidneys is:
1. Collecting ducts
2. Glomerulus
3. Proximal convoluted tubules
4. Distal convoluted tubules

Correct answer: 3. Proximal convoluted tubules

Explanation: Proximal convoluted tubules